Folate trap occurs due to the deficiency of
1. Thiamine
2. Biotin
3. Folic acid
4. vitamin B12

Correct answer: 4. vitamin B12

Explanation: The conversion of 5,10-methylene-THF into 5-methyl-THF is irreversible. The only way to make further use of 5-methyl-THF and to maintain the folate cycle is by the vitamin B12-dependent remethylation of homocysteine to methionine (regenerating THF). The methyl group transfer is therefore greatly dependent on 5-methylTHF and the availability of Vitamin-B12. In cases of vitamin-B12 deficiency, an intracellular deficiency of biologically active THF arises as methyl-THF is not converted to THF and the folate gets trapped as methyl-THF. This situation is called a 'folate trap' (or methyl group trap). Reference: Harpers illustrated biochemistry 30th edition